Finding acid-fast bacilli within peripheral nerves is most suggestive of:
1. Relapsing fever
2. Syphilis
3. Leprosy
4. Tuberculosis

Correct answer: 3. Leprosy

Explanation: Lepromatous and tuberculoid leprosy, the major forms of leprosy, are caused by infection with Mycobacterium leprae. Nerve involvement is most typical of the lepromatous form. Histologic sections reveal acid-fast bacilli within peripheral nerves.